Iridocyclitis is a feature of –
1. Juvenile rheumatoid arthritis with systemic involvement
2. Seropositive, pauciarticular, juvenile rheumatoid rthritis
3. Seronegative pauciarticular juvenile rheumatoid arthritis
4. Seropositive, polyarticular juvenile rheumatoid arthritis

Correct answer: 3. Seronegative pauciarticular juvenile rheumatoid arthritis

Explanation: Anterior uveitis is more common in pauciarticular seronegative (RA factor negative) JRA.